Cause of unilateral dysmenorrhea :
1. One horn of malformed uterus
2. Endometriosis with unilateral distribution
3. Small fibroid at the utero tubal junction
4. All of the above

Correct answer: 4. All of the above

Explanation: All of the above